Squamocolumnar junction lies outside the external os in all cases except
1. Pregnancy
2. OCPs
3. Menopause
4. Puberty

Correct answer: 3. Menopause

Explanation: Squamo columnar junction (Transformation Zone) gets indrawn inside the os, in menopausal women.